All are metabolic effects of Growth hormone except :
1. Reduced ability of insulin to stimulate glucose uptake
2. Increased glucose uptake
3. Increased plasma glucose.
4. Increased plasma free fatty acids

Correct answer: 2. Increased glucose uptake

Explanation: METABOLIC EFFECTS OF GROWTH HORMONE

Stimulation of gluconeogenesis;
Reduced ability of insulin to stimulate glucose uptake.
Adipocytes more responsive to lipolytic stimuli
Reduced glucose uptake;
Increased plasma glucose;
Increased plasma free fatty acids;
Reduced plasma urea.
Increased amino acid uptake;
Increased protein synthesis;
Increased DNA, RNA synthesis;